Scapocephaly is due to premature closure of the
1. Coronal sutrue
2. Metopic suture
3. Sagittal suture
4. Lambdoid suture

Correct answer: 3. Sagittal suture

Explanation: Ans. is 'c' i.e., Sagittal suture